Muscle shown in the illustration predominantly uses:
1. GLUT 1
2. GLUT 2
3. GLUT 3
4. GLUT 4

Correct answer: 4. GLUT 4

Explanation: Ans. D. GLUT 4a. Muscle shown is the skeletal muscle.b. Glucose transporter type 4, also known as GLUT 4, is a protein encoded in humans, by the GLUT4 gene. GLUT4 is the insulin-regulated glucose transporter found primarily in adipose tissues and striated muscle (skeletal and cardiac). The first evidence for this distinct glucose transport protein was provided by David James in 1988. The gene that encodes GLUT4 was clone and mapped in 1989.c. Recent reports demonstrated the presence of GLUT4 gene in central nervous system such as the hippocampus. Moreover, impairment in insulin-stimulated trafficking of GLUT4 in the hippocampus result in decreased metabolic activities and plasticity of hippocampal neurons, which leads to depressive like behaviour and cognitive dysfunction.GLUT4 is primarily found in: -a. Skeletal muscleb. Cardiac musclec. Adipose tissue